Which is the first investigation to be done in case of Neonate presenting with frothiness in mouth and dyspnoea?
1. Bronchoscopy with injection of methylene blue
2. NG Tube insertion and CXR to check position of tube
3. CT chest
4. Endoscopy

Correct answer: 2. NG Tube insertion and CXR to check position of tube

Explanation: - Two problems Collection of saliva in the mouth Air coming inside the mouth - Therefore, saliva is not going into the esophagus - Esophageal atresia with tracheoesophageal fistula Diagnosis: The inability to pass a NG int the stomach is a cardinal feature for the diagnosis of EA If gas is present in the GIT below the diaphragm, an associated TEF is confirmed Inability to pass a NG tube with absent radiographic evidence for gastrointestinal gas is virtually diagnostic of an isolated EA without TEF For H-type: tracheobronchoscopy + endoscopy should be performed